In severe cases Lucio's phenomenon is treated with:
1. Steroids
2. Exchange transfusion
3. Clofazimine
4. Lenalidomide

Correct answer: 2. Exchange transfusion

Explanation: Lucio phenomenon - Type of lepra reaction seen in patients of Lucio leprosy where lesions are ulceronecrotic over lower extremities Do not respond to conventional treatment (Thalidomide) So in Severe cases exchange transfusion is done